Which of the following group of virus is most likely involved in viral meningitis -
1. Adenovirus
2. Enterovirus
3. Human papilloma virus
4. Poxvirus

Correct answer: 2. Enterovirus

Explanation: Ans. is 'b' i.e., Enterovirus . Enteroviruses are the most common cause of viral meningitis.- Harrison.